In acrylic restorative materials, the pumping action of alternately imbibing and excluding fluids is termed as:
1. Imbibition
2. Percolation
3. Syneresis
4. Evaporation

Correct answer: 2. Percolation